Least mobile metatarsal of foot
1. 1st metatarsal
2. 2nd metatarsal
3. 3rd metatarsal
4. 4th metatarsal

Correct answer: 2. 2nd metatarsal

Explanation: 2nd metatarsal is longest and least mobile among all metatarsals, hence more prone for March fracture